All the following are exceptions to Koch's postulates except?
1. Mycobacterium Leprae
2. Treponema pallidum
3. Neisseria gonorrhoea
4. Vibrio cholerae

Correct answer: 4. Vibrio cholerae

Explanation: M leprae & T pallidum – Cannot be grown invitro however can be maintained in animals.
N gonorrhoea – There is no animal model, however bacteria can be grown in vitro.